An absolute contraindication of MRI is –
1. Pacemaker
2. Prosthetic cardiac valves
3. Insulin pump
4. Choclear implants

Correct answer: 1. Pacemaker

Explanation: Cardiac pacemakers are generally considered as an absolute contraindication.
Prosthetic cardiac valves, insulin pump and coclear implants are relative contraindications